Which of the following would be associated with parallel changes in aldosterone and cortisol secretion?
1. Addison's disease
2. Cushing's disease
3. Cushing's syndrome
4. Conn's syndrome

Correct answer: 1. Addison's disease

Explanation: Addison's disease results from an inability of the adrenal cortices to produce sufficient adrenocortical hormones. Persons with Addison's disease have diminished secretion of both glucocorticoids (cortisol) and mineralocorticoids (aldosterone). Hypersecretion by the adrenal cortex causes a complex cascade of hormone effects called Cushing's syndrome. When Cushing's syndrome is secondary to excess secretion of ACTH by the anterior pituitary, this condition is referred to as Cushing's disease. In persons with Cushing's disease or Cushing's syndrome, cortisol secretion is elevated but aldosterone secretion is normal. Occasionally a small tumor of the zona glomerulosa cells occurs and secretes large amounts of aldosterone; the resulting condition is called primary aldosteronism or Conn's syndrome.